A patient presented with pain in left eye associated with visual distrubance, also a history of blunt trauma to eye 4 month back, first investingation of choice is
1. Introcular tension
2. Ophthalmoscopy
3. Perimetry
4. Ultrasound

Correct answer: 1. Introcular tension

Explanation: A i.e. Intraocular tension This is a case of angle recession glaucoma